In a patient, highest visual morbidity is seen in:
1. Nuclear cataract
2. In tumescent cataract
3. Posterior subcapsular
4. Cuneiform cataract

Correct answer: 3. Posterior subcapsular

Explanation: Ans: C (Posterior subcapsular cataract) Ref: Basok Essentials of Ophthalmology. 5th edition, pg. 248: Parson's Diseases of the Eye 21st edition pg no 262.Explanation:Posterior subcapsular cataract or posterior cortical cataract:The opacity in the posterior cortex is close to the nodal point of the lens.Nodal point 7.0S mm from the anterior surface of the cornea.* Posterior cortical cataract is at the visual axis so during day time pupil constricts - Day Blindness.